Traveller’s diarrhea is caused due to
1. Enterotoxigenic E. coil
2. Enterohemorrhagic E. coli
3. Enteropathogenic E. coli
4. Enteroinvasive E. coli

Correct answer: 1. Enterotoxigenic E. coil

Explanation: Persons from developed countries visiting endemic areas often suffer from ETEC diarrhea—a condition known as Traveler’s diarrhea.